Platelets can be stored at
1. 20-24oC for 5 days
2. 20-24oC for 8 days
3. 4-8oC for 5 days
4. 4-8oC for 8 days

Correct answer: 1. 20-24oC for 5 days

Explanation: . Shelf-life 5 days Storage temperature range 20-24 oC Comments Platelets components must be agitated gently and continuously in a single layer on a platelet agitator.